Which one of the following is the meaning of ophitoxemia?
1. Ant bite
2. Bee sting
3. Snake bite
4. Spider bite

Correct answer: 3. Snake bite

Explanation: Symptomatology of snake venom poisoning is known as ophitoxemia.